Major connector should be
1. Able to act as indirect retainer
2. Able to function as direct retainer
3. Rigid to connect bilateral components
4. Able to function as stress breakers

Correct answer: 3. Rigid to connect bilateral components